Stroke bite lesion is seen in –
1. Sturge weber syndrome
2. Blue rubber bleb nevus syndrome
3. Macular staining of infant
4. Craniofacial nevus

Correct answer: 3. Macular staining of infant

Explanation: Stroke bite (Salmon patch/ nevus simplex) 

It is small pale, ill-defined, vascular macules & represent localized vascular ectasia.
Occur most commonly on glabella, eyelids, upper lip, & Nuchal area of 30-40% of normal newborn infants.
More visible during crying or changes in environmental temperature.
Most stork bites on the face go away completely in about 18 months.
Stork bites on the back of the neck usually do not go away.
No treatment is needed. If a stork bite lasts longer than 3 years, It may be removed with a laser to improve the person's appearance.